Brain dead individuals have all of the following features EXCEPT
1. Dolls eye movement is absent
2. Oculo-vestibular reflex is absent
3. Only pain is preserved
4. Corneal reflex is absent

Correct answer: 3. Only pain is preserved

Explanation: (C) Only pain is preserved# BRAIN-DEAD> individual has no clinical evidence of brain function upon physical examination.> No response to pain and no cranial nerve reflexes.> Reflexes include pupillary response (fixed pupils), oculocephalic reflex, corneal reflex, no response to the caloric reflex test, and no spontaneous respirations.> In comatose patients, once it has been determined that the cervical spine is intact, a test of the vestibulo-ocular reflex (VOR), also known as the oculocephalic reflex or doll's eye reflex can be performed by turning the head to one side.> Positive response occurs when the eyes rotate to the opposite side to the direction of head rotation, thus indicating that the brain- stem (CN3,6,8) is intact.> Vertical oculo-vestibular eye responses can be assessed by irrigating both ears simultaneously.> If the brainstem is intact, cold water causes the eyes to deviate downwards and warm water causes the eyes to deviate upwards.